Which method is used to locate a known gene locus?
1. FISH
2. CGH
3. Chromosome painting
4. RT-PCR

Correct answer: 1. FISH

Explanation: Ans. A. FISH(Ref: Robbins 9/e page 177)Robbins 9th edition gives the following descriptionFISH uses DNA probes that recognize sequences specific to particular chromosomal regions.MethodRequires growing cellsDetects deletion and duplicationDetects balanced structural rearrangementsDetects uniparental disomyLower limits of detectionG bandingYesYesYesNo5-10mbMetaphase FISHYesYesYesNo40-250 thousand mbInterphase FISHNoYesSomeNo40-250 thousand mbCGH arrayNoYesNoNoSingle Exon or Single geneSNP arrayNoYesNoSomeSingle Exon or Single gene